Hippus is seen in which poisoning
1. Abrus
2. Aconite
3. Alcohol
4. Dhatura

Correct answer: 2. Aconite

Explanation: Hippus, also known as pupillary athetosis, is a spasmodic, repetitive oscillation in the pupil size, with alternating constriction and dilation of the pupil diameter about 1 to 2 millimeters every five seconds, without relation to the intensity of ambient lighting, emotions of the patient, or focal length of the patient. Hippus has been classically been noted as a sign of Aconite poisoning. Ref: Krishan Vij textbook of forensic medicine, 5th edition pg : 527,528